Active search for disease in an apparently healthy individual is
1. Monitoring
2. Case finding
3. screening
4. Sentinel surveillance

Correct answer: 3. screening